Low complement levels seen in
1. PSGN
2. MPGN
3. Infective endocarditis
4. All the above

Correct answer: 4. All the above

Explanation: Ref Harrison 16/e p680 normal complement levelssuggest renal diseases such as immune complex disease, idiopathic rapidly progressive GN, and immunoglobulin G (IgG) or immunoglobulin A (IgA) nephropathy. Low C3 levels are found in almost all patients with acute poststreptococcal nephritis; C4 levelsmay be slightly low